SYT-SSXI gene is associated with-
1. Liposarcoma
2. Rhabdomyosarcoma
3. Synovial sarcoma
4. Ewings sarcoma

Correct answer: 3. Synovial sarcoma

Explanation: A synovial sarcoma (also known as: malignant synovioma is a rare form of cancer which occurs primarily in the extremities of the arms or legs, often in close proximity to joint capsules and tendon sheaths. As one of the soft tissue sarcomas, it is one of the rarest forms of soft tissue cancer. The name "synovial sarcoma" was coined early in the 20th century, as some researchers thought that the microscopic similarity of some tumors to synovium, and its propensity to arise adjacent to joints, indicated a synovial origin; however, the actual cells from which the tumor develops are unknown and not necessarily synovial. Primary synovial sarcomas are most common in the soft tissue near the large joints of the arm and leg but have been documented in most human tissues and organs, including the brain, prostate, and heart. Synovial sarcoma occurs most commonly in the young, representing about 8% of all soft tissue sarcomas but about 15-20% of cases occur in adolescents and young adults. The peak of incidence is in the third decade of life, with males being affected more often than females (ratio around 1.2:1).